A 26 year male came with hypopigmented macule over chest with scratch sign positive. Diagnosis is:
1. Hansen's disease
2. PKDL
3. Pityriasis alba
4. Pityriasis versicolor

Correct answer: 4. Pityriasis versicolor

Explanation: Hypopigmented patch over chest and trunk with fine scaling and scratch sign positive (i.e appearance of scales on scratching ) is suggestive of Pityriasis versicolor which is a fungal intection caused by Malassezia.